The "Ugly duckling" stage of the transitional dentition
is characterized by all of the following except
1. Deep overbite
2. Distoangular axial inclination of the maxillary incisors
3. Mandibular lateral incisors erupting lingual to the mandibular central incisors
4. Possible overjet

Correct answer: 3. Mandibular lateral incisors erupting lingual to the mandibular central incisors